Maintainence dose is calculated by using value of?
1. Clearance
2. Volume of distribution
3. Oral bioavailability
4. Daily dosage

Correct answer: 1. Clearance

Explanation: Ans. is 'a' i.e., Clearance Drug dosing For drugs with longer t1/2 a dose that is sufficient to attain the target concentration after single administration, if repeated will accumulate according to plateau principal and produce toxicity later on. On the other hand, if the dosing is such as to attain target level at steady state, the therapeutic effect will be delayed by about 5 half lives and this lapse of time may be undesirable some time. Such drugs are often administered by initial loading dose and subsequent maintenance doses. Loading dose